Only certificate of vaccination required for international travel is
1. Hepatitis B
2. BCG
3. Tetanus
4. Yellow fever

Correct answer: 4. Yellow fever